Aseptate hyphae are seen in -
1. Phycomycetes
2. Ascomycetes
3. Basidiomycetes
4. Deutromycetes

Correct answer: 1. Phycomycetes

Explanation: - Lower fungi (Phycomycetes or Zygomycetes) - Aseptate hyphae - Mucor, Rhizopus and Absidia etc. - Higher fungi (Ascomycetes, Basidiomycetes, Deutromycetes) - Septate hyphae - Dermatophytes, Aspergillus, etc.